Wind Swept Deformity is seen in _________
1. Scurvy
2. Rickets
3. Achondroplasia
4. Osteroporosis

Correct answer: 2. Rickets

Explanation: Windswept deformity (combination of valgus deformity of 1 leg with varus deformity of the other leg) Its a clinical feature of rickets. Reference: Nelson Textbook of Pediatrics; 20th edition; Chapter 51 Rickets and Hypervitaminosis D